Durkheim work was related to ?
1. Recommendation of multipurpose worker
2. Management in Health manpower
3. Division of labor
4. Integratation of medical and health services

Correct answer: 3. Division of labor

Explanation: Ans. is 'c' i.e., Division of labor Four major works of Durkheim are :? Division of Labor in society. Rules of sociological methods. Suicide Elementary forms of religious life.